A 60 year old female is suffering from renal failure and is on hemodialysis since last 8 years. She developed carpel tunnel syndrome. Which of the following finding will be associated?
1. AL
2. AA
3. ATTR
4. B2 microglobulin

Correct answer: 4. B2 microglobulin